Meniere's disease is manifested by all of the symptoms except:
1. Tinnitus
2. Deafness
3. Vertigo
4. Otorrhoea

Correct answer: 4. Otorrhoea

Explanation: (d) Otorrhoea(Ref. Scott Brown, 8th ed., Vol 2, 819)Meniere is manifested as vertigo followed by deafness (SN), tinnitus and a sensation of fullness in the ear but no discharge.